A 56-year-old female was prescribed trastuzumab. Which of the following statements regarding this drug is FALSE?
1. It is an antibody produced entirely from mouse containing no human component
2. It is used for the treatment of breast carcinoma
3. It can cause cardiac toxicity
4. It is not effective orally

Correct answer: 1. It is an antibody produced entirely from mouse containing no human component

Explanation: Trastuzumab: It is a humanized antibody against external domain of HER2/neu. produced from human component and small amount of mouse. Injectables Drugs : - Cetuximab : Used for colorectal cancer- Panitumumab : Used for colorectal cancer - Rituximumab : Used for NHL- Trastuzumab : Used for breast cancer, side effect: cardiotoxicity - Pertuzumab : Used for breast cancer- Daratuzumab : Used for multiple myeloma- Olaratumumab: Used for soft tissue sarcoma